ABO antigens are not present in ?
1. Saliva
2. CSF
3. Blood
4. Tear

Correct answer: 2. CSF

Explanation: Ans. is 'b' i.e., CSF"Soluble ABO antigens are detected in secretions and all body fluids except cerebrospinal fluid".